Rokitanski protruberences are seen in -
1. Mucinous carcinoma
2. Teratoma
3. Epidermal cystoids adenoma
4. Papillary carcinoma

Correct answer: 2. Teratoma

Explanation: Rokitansky nodules/protuberance: These are one or more foci of rounded nodular structure/s, covered with hair protruding into the lumen of the cyst. These are also known as the mammillary body (tubercle) and dermoid nipple. It shows the greatest variety of tissue types of all three germ cell layers and teeth tend to be located at this site.